At what value for one hour glucose challenge test will you recommend a standard glucose tolerance test:
1. 120 mg/d1
2. 140 mg/dl
3. 150 mg/d1
4. 160 mg/dl

Correct answer: 2. 140 mg/dl

Explanation: Answer is B (140 mg/(dl): A serum blood glucose value greater than 140 mg/dl at one hour in an 'one hour glucose challenge test' is termed suspicious and requires a formal/standard glucose tolerance test. One hour glucose challenge test (0' Sullivan test) The one hour glucose challenge test (0' Sullivan test) is done to detect gestational diabetes and screen non symptomatic pregnant women. This test is the recommended screening test by the American College of Obstetricians and Gynaecologists (ACOG) The test (One step approach) An oral glucose load of 50g is administered and blood is examined for glucose levels one hour after administration. Reference values A plasma glucose level of -140 mg/dl 1 hour after challenge is considered suspicious. Implication Patients with a positive 1 hour glucose challenge test should undergo the standard 3 hour, 100 gm oral GTT for pregnant women. Note: The standard oral GTT for pregnant women is a 3 hour test. The standard oral GTT for individuals other than pregnant women is a 2 hour test.